A serum of patient shows HbsAg and IgM to Hbc. He is diagnosed to have:
1. Chronic hepatitis
2. Acute hepatitis
3. Acute infection of hepatitis C
4. Chronic infection of hepatitis B

Correct answer: 2. Acute hepatitis